True about metaplasia is
1. Loss of polarity
2. Nucleus is smaller in size
3. It is a reversible change
4. Immature cells

Correct answer: 3. It is a reversible change

Explanation: Answer- C. It is a reversible changeMetaplasia is an adaptive change in which one adult (mature) cell type is replaced by another adult (mature) cell.It is reversible.There is no pleomorphism, and cell polarity as well as cell & nuclear size are not altered.